Which RNA has highest percentage of modified bases
1. mi RNA
2. sn RNA
3. t RNA
4. r RNA

Correct answer: 3. t RNA

Explanation: t RNA has modified bases like dihydrouridine, Pseudouridine, Indosine, Ribothymidine.